In Revised National TB Control Program mainstay of diagnosis of pulmonary tuberculosis is:
1. Sputum AFB
2. CXR
3. Clinical examination
4. PCR

Correct answer: 1. Sputum AFB

Explanation: Ans: A (Sputum AFB) Ref: Textbook of Preventive and Social Medicine, 22nd edition page no 396 & Flowchart is by Textbook of Community Medicine, 1st edition, Armed Force Medical College, Pane COUGH FOR 2 WEEKS OR MORE | 2 Sputum smears - |- | | 1 or 2 Positives 2 Negatives | | Antibiotics10-14 days | Cough Persists | Repeat 2 SputumExamination | 1 or 2 Positives 2 Negative || | X-ray chest || Suggestive of TB Negative for TB|| | |Sputum Positive PTBAnti TB Treatment Sputum negative PTB Anti TB Treatment Non TB